Tactile hallucinations are typically seen in
1. Alcohol withdrawl
2. Schizophrenia
3. Depression
4. Delirium

Correct answer: 1. Alcohol withdrawl

Explanation: : In complicated alcohol withdrawal visual (and also auditory) hallucinations and illusions occur, which are often vivid and very frightening. Tactile hallucinations of insects crawling over the body may occur. In Schizophrenia, depression and delirium tactile hallucinations are uncommon. Reference: A Short Textbook of Psychiatry by Niraj Ahuja page no. 38.